Partogram is a graphic record of:
1. Fetal growth
2. Fetal well being
3. Labour
4. Involution

Correct answer: 3. Labour

Explanation: Labour